Aneuploidy is seen with all except:
1. Trisomy of chromosome 18 and 13
2. Trisomy 21
3. Klinefelter syndrome
4. DiGeorge syndrome

Correct answer: 4. DiGeorge syndrome

Explanation: Aneuploidy is the number of chromosomes which is not an exact multiple of haploid number e.g. hypodiploid or 2N-1 (45 chromosomes) monosomy, hyperdiploid or 2N+1 (47 chromosomes) trisomy.
Common syndromes with numerical aberrations:

Down’s syndrome: Trisomy 21 
Klinefelter’s syndrome: Sex chromosome trisomy - 47, XXY
Turner’s syndrome: Monosomy (45, X0)

DiGeorge syndrome, also known as 22q11.2 deletion syndrome, is a syndrome caused by the deletion of a small segment of chromosome 22. 
Mohan H. Textbook of pathology. Jaypee Brothers Medical Publishers; 2015. Edition 7. Page 253